Neural Tube Defects have which one of the following inheritance patterns ?
1. Autosomal dominant
2. Autosomal recessive
3. X-linked recessive
4. Multifactorial

Correct answer: 4. Multifactorial

Explanation: Neural tube defects are considered a complex disorder because they are caused by a combination of multiple genes and multiple environmental factors. However, once a couple has one child with an NTD, their chance of having a second child with an NTD is increased to approximately 2-5%. Neural tube defects are usually diagnosed before the infant is born, through lab or imaging tests. There is no cure for neural tube defects. The nerve damage and loss of function that are present at birth are usually permanent. Reference: GHAI Essential pediatrics, 8th edition